Which of the following is a pathological calcification?
1. Suprasellar calcification
2. Basal ganglia calcification
3. Pineal body calcification
4. Choroid calcification

Correct answer: 1. Suprasellar calcification

Explanation: A brain tumor derived from the pituitary gland, derived from nests of epithelial cells of Rathke's pouch. Calcium deposits are evident in x-ray. suprasellar tumors form a separate entity as far as .... These tumors are partly solid and cystic and can have dense areas of calcification. Ref Robbins 9/e p 16